The enzyme glucosyl transferase secreted by Streptococcus mutans synthesizes glucans from
1. Glucose
2. Fructose
3. Sucrose
4. Lactose

Correct answer: 3. Sucrose